Which of the follow ing is not an analeptic agent?
1. Doxapram
2. Nikethamide
3. Doxacurium
4. Propylbucamide

Correct answer: 3. Doxacurium

Explanation: Ans: C (Doxacurium) Ref: A Complete Textbook of Medical Pharmacology S.K. Srivasthava, Vol 1, Avanchal Publishing Company 764Explanation:Doxapram. Nikethamide. Prethcamide are the analeptics, stimulate the medullary centre.Nikethamide is now withdrawn due to the risk of convulsion.Doxacurium is a competitive neuromuscular blocker while other drugs are known respiratory stimulants.